The staging for pelvic inflammatory is described by-
1. Jonathan
2. Florence
3. Gainesville
4. Sartonini

Correct answer: 3. Gainesville

Explanation: Ans. is 'c' i.e., Gainesville Gainesville staging of pelvic inflammatory disease:o Acute salpingitis without peritonitiso Acute salingitis with peritonitiso Acute salpingitis with superimposed tubal occlusion or tube-ovarian complexo Ruptured tubo - ovarian abscesso Tubercular salpingitis